A patient presented with peripheral field loss and fundus examination shows waxy exudates & pale disc with pigmentation around retinal vessels, diagnosis is
1. Behcet's syndrome
2. Chorio- retinitis
3. Open angle glaucoma
4. Retinitis-pigmentosa

Correct answer: 4. Retinitis-pigmentosa

Explanation: D i.e. Retinitis-pigmentosa